Which of the following investigation is considered to be the gold standard in the diagnosis of osteoporosis?
1. Ultrasound
2. Dual energy X-ray absorptiometry
3. Single energy X-ray absorptiometry
4. Quantitative computed tomography

Correct answer: 2. Dual energy X-ray absorptiometry

Explanation: Osteoporosis is a group of disorders characterized by reduced bone mass or density in the absence of defect in bone mineralization. Dual energy X ray Absorptiometry (DEXA) scan is the gold standard method in the diagnosis of osteoporosis. It is a quantitative method for measuring bone mass by using low energy X ray beam. Using this method bone mass is measured in units of gram per cubic centimeter of bone. WHO criteria for osteoporosis is a DEXA scan T score at or below -2.5. T score between +1 and -1 indicates normal bone, between -1 and -2.5 indicates osteopenia. Ref: Internal Medicine: An Illustrated Radiological Guide By Jarrah Ali Al-Tubaikh, Page 219